Which of the following is the drug of choice for Pseudomembranous colitis:
1. Oral vancomycin
2. Erythromycin
3. Azithromycin
4. Meropenem

Correct answer: 1. Oral vancomycin

Explanation: Ans. A. Oral vancomycinAnti-bodies can lose watery stools by altered bacterial flora or bloody stools secondary to Clostridium difficult overgrowth and pseudomembranous colitis (PMC). Stopping the offending agent is often enough. If suspicion of PMC is present then stool for toxin assay and sigmoidoscopy is required for confirmation. Metronidazole or oral vancomycin is the drug choice for PMC.